A man is brought to the emergency after he fell into a man hole and injured his perineum. He feels the urge to micturate but is unable to pass urine and there is blood at the tip of the meatus with extensive swelling of the penis and scrotum. What is the location of the injury?
1. Bulbar urethra
2. Prostatic urethra
3. Bladder
4. Membranous urethra

Correct answer: 1. Bulbar urethra

Explanation: Anterior Urethral Injuries -MC injured anterior urethral part - bulbar part of urethra Clinical features : Urinary retention Blood at meatus Perineal Hematoma - involves shaft & Bilateral scrotum (butterfly shaped) Treatment Suprapubic cystotomy performed followed by delayed repair